Seen in Colles # A/E -
1. Proximal shift
2. Dorsal tilt
3. Lateral tilt
4. Pronation

Correct answer: 4. Pronation

Explanation: Typical displacements in Colles fracture are dorsal displacement (dorsal shift), Dorsal tilt, lateral displacement (lateral shift), lateral tilt, Impaction (proximal migration), and supination (external rotation).